For which malignancy, intensity modulated radiotherapy (IM) is the most suitable?
1. Lung
2. Prostate
3. Leukemias
4. Stomach

Correct answer: 2. Prostate

Explanation: Ans. is 'b' i.e., Prostate Intensity modulated radiation therapy (IM) is an advanced mode of high precision radiotherapy that utilizes computer controlled X-ray accelarators to deliver precise radiation doses to a malignant tumour or specific areas within the tumour. The radiation dose is designed to conform to the three dimensional (3-D) shape of the tumour by modulating or controlling the intensity of the radiation beam to focus a higher radiation dose to the tumour while minimizing exposure to surrounding tissues. Note :IM can be used to treat lung cancers, but there are several technical reasons to delay the widespread use of 1M for lung Ca at this time. Currently Intensity moiilated radiotherapy is being used to treat cancers of: Prostate Gynaecologic cancers Head & Neck Liver Breast Brain Thyroid Lymphomas Lung Sarcomas